All of the following vaccines can prevent pneumonia, except:
1. Measles
2. Rubella
3. Pneumococcal
4. H. influenzae

Correct answer: 2. Rubella

Explanation: b. Rubella(Ref: Nelson 20/e p 1545)Pneumonia is the most common cause of death in measles. It may manifest as giant cell pneumonia caused directly by the viral infection or as superimposed bacterial infection. The most common bacterial pathogens are Streptococcus pneumoniae, Hemophilus influenzae, and Staphylococcus aureus. So, vaccination against Measles, Pneumococcus & H. influenzae would give some protection against pneumonia.